Murmur heard in aortic regurgitation is:
1. Continuous murmur
2. Austin flint murmur
3. Crescendo-decrescendo
4. Graham Steele's Murmur

Correct answer: 2. Austin flint murmur

Explanation: Ans. B: Austin flint murmur Austin Flint Murmur - Presystolic murmur similar to mitral stenosis, heard at cardiac apex. It is caused by regurgitation from Aorta partially narrowing the mitral valve. It is seen in Aortic Insufficiency Graham Steele's Murmur - Early diastolic murmur heard over Erb's Point seen in Pulmonic Insufficiency, secondary to Pulmonary Hypertension and Mitral Stenosis.